Which of the following agents is most commonly associated with recurrent meningitis due to CSF leaks:
1. Meningococci
2. Pneumococci
3. Hemophilus Influenza
4. E. Coli

Correct answer: 2. Pneumococci

Explanation: Answer is B (Pneuntococci): Pneumococci are the most common cause of recurrent meningitis in the setting of CSF leaks 'Streptococcus Pneumoniae is the most common cause of recurrent meningitis due to cerebrospinal fluid leaks' - Infections of the CNS 3'd/354; Mayo Clinic 8th/567 `Congenital or Acquired CSF leak across a mucocutaneous barrier such as cranial or midline facial defects (cribriform plate) and middle ear (stapedial foot plate) or inner ear fistulas (oval window, internal auditory canal, cochlear aqueduct) or CSF leakage through a rupture of meninges due to basal skull fractures into the cribriform plate or paranasal sinus is associated with an increased risk of pneumococcal meningitis'. - Nelson 18th/2514